In a child with OCD, MRI will reveal reduced volume (atrophy) of:-
1. Putamen
2. Globus pallidus
3. Caudate nucleus
4. Cerebellum

Correct answer: 3. Caudate nucleus

Explanation: Obsessive compulsive disorder -Obsessive-compulsive disorder (OCD) is a condition characterized by obsessions and/or compulsions that the person feels driven to perform according to specific rules in order to prevent an imagined dreaded event. OCD is the fourth most common psychiatric disorder and is usually a chronic condition Obsessions- Recurrent persistent thoughts, impulses, or images that enter the mind despite efforts to exclude them - Patient try to resists them Compulsions - Behavior on mental acts that follow obsession & reduce anxiety temporarily M/C presentation - obsession of contamination followed by compulsions of washing Depression is most common comorbidity Treatment - best - combination of pharmacotherapy and psychotherapy pharmacotherapy - SSRI PSYCHOTHERAPY - Brief cognitive behavioral therapy (CBT) based on exposure with response prevention is the treatment of choice, and can be delivered in a variety of ways: Brief individual CBT (up to 10 hours) with structured self-help materials CBT by telephone Group CBT Involvement of corticostriatal thalamic cortico pathwayand MRI will show decrease volume of bilateral caudate nucleus